All except one explains complicated vesicovaginal fistula
1. Shortened vaginal length
2. Prior radiation therapy
3. Located near the cuff
4. Size > 3 cm

Correct answer: 3. Located near the cuff

Explanation: Complicated vesicovaginal fistula is located distant from cuff.